Silver plaques are a feature of:
1. Lichen planus
2. Psoriasis
3. Vitiligo
4. Albinism

Correct answer: 2. Psoriasis

Explanation: Ans. B: Psoriasis Plaque psoriasis is the most common presentation of psoriasis and of all the patterns is the most likely to affect the typical areas of the elbows, knees, umbilicus and lower back. It tends to be a relatively persistent or chronic pattern of psoriasis that can be improved with treatment but is difficult to clear completely with topical treatments alone. It is characterised by large flat areas (plaques) of psoriasis with typical silvery scale. These plaques may join together to involve very extensive areas of the skin particularly on the trunk and limbs. It is often accompanied by scalp and nail psoriasis.